All are true about Diploic veins EXCEPT:
1. Lined by single layer endothelium supported by elastic tissue
2. Present in Cranial bones
3. Valveless
4. Develop by 8th week of IUL

Correct answer: 4. Develop by 8th week of IUL

Explanation: Diploic veins start developing in the cranial bones at about 2 years of age and are fully developed at the age of 35 years. These are lined by a single layer endothelium supported by elastic tissue and are valveless.